Total body water constitute what percentage of body Weight-
1. 80%
2. 60%
3. 33%
4. 25%

Correct answer: 2. 60%

Explanation: Ans. is 'b' i.e., 60% Extracellular fluid (14 litres)o 20% of body weighto 33% of total body waterIntracellular fluid (ICF)Plasmao 3.5 litreso 5% of body weighto 8% of total body watero 25% of ECFo 28 litreso 40% of body weighto 67% of total body waterInterstitial fluido 10.5 litreso 15% of body weighto 25% of total body watero 75% of ECF Total body water (42 litres)o 60% of body weight